. Spirochetes among following are -
1. Syphilis
2. Leptospira
3. Borrelia
4. All

Correct answer: 4. All

Explanation: Ans. is 'a' i.e., Syphilis; 'b' i.e., Leptospira; 'c' i.e., Borrelia